What is epiphora:
1. Everted upper eyelid following surgery
2. CSF running through nose after injury
3. Abnormal flow of tears due to obstructed lacrimal duct
4. CSF running through ears after injury

Correct answer: 3. Abnormal flow of tears due to obstructed lacrimal duct

Explanation: Ans. C: Abnormal flow of tears due to obstructed lacrimal duct Epiphora is overflow of tears onto the face. A clinical sign or condition that constitutes insufficient tear film drainage from the eyes in that tears will drain down the face rather than through the nasolacrimal system